Face bows are classified as:
1. Arbitrary face bow
2. Arbitrary and kinematic face bow
3. Arbitrary and value face bow
4. None of the above

Correct answer: 2. Arbitrary and kinematic face bow